Which of the following is not a constituent of the succus entericus ?
1. Erepsin
2. Enterokinase
3. Invertase
4. Trypsin

Correct answer: 4. Trypsin

Explanation: Trypsin is formed from trypsinogen in the small intestine. It is not a constituent of the intestinal juice Intestinal juice or succus entericus- Small intestine-crypts of Lieberkuhn Enzymes present in the succus entericus are: Protein digestion: aminopeptidases ,carboxypeptidases. Erepsin: converts proteoses & peptones into amino acids Enterokinase: it converts trypsinogen (secreted by pancreas) into trypsin. Carbohydrate Digestion: Invertase (sucrose converted to glucose and fructose) Maltase, glucoamylase, and lactase